Grwoth factors promote cell growth by acting on -
1. C. AMP
2. Tyrosine Kinase
3. C.GMP
4. TRM

Correct answer: 2. Tyrosine Kinase